Pulmonary fibrosis is noted with all except:
1. Busulfan
2. Bleomycin
3. Nitrofurantoin
4. Bumetanide

Correct answer: 4. Bumetanide

Explanation: ESSENTIALS of medical PHARMOCOLOGY SEVENTH EDITION -KD TRIPATHI Page:581umetanide It is similar to furosemide in all respects, but is 40 times more potent. It induces very rapid diuresis and is highly effective in pulmonary edema. However, the site of action, ceiling effect, renal haemodynamic changes and duration of action are similar to furosemide. A secondary action in PT has also been demon- strated. It may act in some cases not responding to furosemide. Hyperuricaemia, K+ loss, glucose Diuretics 563 intolerance and ototoxicity are claimed to be less than with furosemide. However, it may rarely cause myopathy. Bumetanide is more. lipid-soluble, 80-100% bioavailable orally, extensively bound to plasma proteins, partly metabolized and partly excreted unchanged in urine. Its accumulation in tubular fluid is less dependent on active secretion. Plasma tlh -60 min, gets prolonged in renal and hepatic insufficiency. Dose: l-5 mg oral 00 in the morning, 2--4 mg i.m./i.v., (max. 15 mg/ day in renal failure). BUMET. 1 mg tab., 0 25 mg/ml inj